If one wants to compare in two characteristics with variable difference, which measurement should be used?
1. Standard deviation
2. Percentile
3. Variance
4. Co-efficient of variation

Correct answer: 4. Co-efficient of variation